A 36-yr-old male worker presented with itchy, annular, scaly diffuse plaques in both the groins. Application of corticosteroid ointment relieved the symptoms temporarily but the plaques continued to spread at the periphery. The most likely diagnosis would be?
1. Erythema annulare centrifugum
2. Granuloma annulare
3. Annular lichen planus
4. Tinea Incognito

Correct answer: 4. Tinea Incognito

Explanation: All of the above options are annular lesions But the clinical features: itchy annular lesion with diffuse scaly plaques at groins and relief from symptoms by use of glucocorticoids points towards Tinea Incognito. Granuloma annulare is also annular but classically non scaly. Annular lichen planus is classically on mucosal areas and not groins.